Following is true about safety muscle of tongue -
1. Innervated by cranial part of accessory nerve
2. Hypoglossal nerve
3. Attached to hard palate
4. None of the given options

Correct answer: 2. Hypoglossal nerve

Explanation: Genioglossus (saftey muscle) is supplied by hypoglossal nerve.